Praliodoxime is ineffective in case of which poisonings ?
1. Organophosphorus
2. Carbaryl
3. Both of the above
4. None of the above

Correct answer: 2. Carbaryl